In congenital ptosis, surgery should be performed at the earliest to prevent amblyopia. Following operations are used in ptosis, EXCEPT:
1. Blaskowics' operation
2. Everbusch's operation
3. Fasanella-Servat operation
4. Modified Burrow's operation

Correct answer: 4. Modified Burrow's operation

Explanation: Modified Burrow's operation is the surgical technique employed for correcting cicatricial entropion. Surgeries for congenital ptosis: Fasanella-Servat operation Blaskowics' operation Everbusch's operation Frontalis sling operation Ref: Comprehensive Ophthalmology by A K Khurana, 4th edition, Page 350, 358.